Apoprotein A is found in :
1. Chylomicrons
2. VLDL
3. HDL
4. LDL

Correct answer: 3. HDL

Explanation: C i.e. HDL